Max duration of time spent is in NREM stage ?
1. I
2. II
3. III
4. IV

Correct answer: 2. II

Explanation: Ans. B. II